Not True about IMNCI
1. Includes early Neonatal care
2. Pink color code refers to urgent referral
3. Includes Home based care
4. Dedication of 75% training staff to Infants

Correct answer: 4. Dedication of 75% training staff to Infants

Explanation: Under IMNCI, the proportion of training time devoted to sick infant and other sick children is almost same.